All are true about Chi-Square test except
1. It is a 'non-parametric test' of significance
2. It is used to 'test significance of association between 2 or more qualitative characteristics'
3. Sample must be randomly selected
4. Lowest expected frequency should be less than 5

Correct answer: 4. Lowest expected frequency should be less than 5

Explanation: Chi-Square test: It is a 'non-parametric test' of significance. It is used to 'test significance of association between 2 or more qualitative characteristics'. Sample must be randomly selected. Lowest expected frequency should be more than 5. The Fisher exact test tends to be employed instead of test when sample sizes are small.